Child with mild squint. Intra-uterine, birth history, developmental history till date all normal. Corneal reflex normal. All other eye parameters normal except exaggerated epicanthal fold. Diagnosis -
1. Pseudostrabismus
2. Accommodative squint
3. Exophoria
4. Esophoria

Correct answer: 1. Pseudostrabismus

Explanation: Pseudoesotropia (apparent convergent squint)  → Due to prominent epicanthal fold.
Pseudoexotropia (apparent divergent squint)     → Due to hypertelorism.
Epicantnic fold causes Pseudoesotropia (Pseudostrabismus)